Following condition has no increased risk of invasive breast carcinoma except
1. Hyperplasia Atypical
2. Sclerosing Adenosis
3. Apocrine metaplagia
4. Duct ectasia

Correct answer: 1. Hyperplasia Atypical

Explanation: Cancer risk associated (with benign breast disorders and insitu carcinoma of the breast) Non-proliferative - no increased risk Sclerosing Adenosis - no increased risk Intra ductal papilloma--no increased risk Florid hyperplasia - 1.5 to 2 fold Atypical lobular hyperplasia - 4fold Atypical ductal hyperplasia - 4fold Ductal involvement by cells of Atypical ductal hyperplasia - 7 fold Lobular carcinoma insitu - 10fold Ductal carcinoma insitu- 10 fold Ref: Sabiston 20th edition Pgno :832